Osteomas, adenomatous polyps of intestine periampullary carcinomas are seen in -
1. Cowden syndrome
2. Peutz–Jeghers syndrome
3. FAP
4. Gardner syndrome

Correct answer: 4. Gardner syndrome

Explanation: Gardner syndrome includes adenomatous polyps of the gastrointestinal tract, desmoid tumours, osteomas, epidermoid cysts, lipomas, dental abnormalities and periampullary carcinomas
It is an autosomal dominant form of polyposis characterized by the presence of multiple polyps in the colon .